Floaters are seen in following except -
1. Vitreous hemorrhage
2. Retinal detachment
3. Uveitis
4. Acute congestive glaucoma

Correct answer: 4. Acute congestive glaucoma

Explanation: Ans. is 'd' i.e., Acute congestive glaucoma {Ref: Clinical ophthalmology 5th/e p. 139]Floaterso A floater is something in the fluids of the eye that casts a shadow on the retina and looks like a dark spot or spots floating around in the field of vision. Floaters are usually described by patients, as small, semitranslucent particles of varying shapes moving across the visual field with the movement of the eye. Floater can only be seen with the eyes open and in a lighted environment. Floaters are usually grey or black, since they are actually shadow on the retina.o Causes of floaters arei) Posterior vitreous detachment (PVD)ii) Retinal detachmentiii) High myopiaiv) Bleeding (vitreous hemorrhage)v) Inflammation of eye (uveitis)